Portal vein is formed
1. Behind the spleen
2. Behind the tail of pancreas
3. Behind the neck of pancreas
4. Behind the second part of duodenum

Correct answer: 3. Behind the neck of pancreas

Explanation: Portal vein is formed behind the neck of pancreas where the splenic vein and superior mesentric vein terminates and continue as portal vein. Ref: Human anatomy, 7th edition, BD Chaurasia, pg:328